Hyperkalemia stimulates secretion of:
1. ADH
2. ACTH
3. Aldosterone
4. Cortisol

Correct answer: 3. Aldosterone

Explanation: (Aldosterone): Ref: 258-H (280- H178th) (358- Ganong 23rd)Aldosterone is secreted by the zona glomerulasa cells of the adrenal cortex in response to high renin and angiotensin II or hyperkalemia (258-H)Plasma K+ level needs increase only 1 mEq/L stimulate aldosterone secretion